Characteristic feature of acute inflammation is:
1. Vasoconstriction
2. Vascular stasis
3. Vasodilatation and increased vascular permeability
4. Margination of leucocytes

Correct answer: 3. Vasodilatation and increased vascular permeability

Explanation: . Vasodilatation and increased vascular permeability